Amniotic fluid embolism causes :
1. Shock
2. DIC
3. Bleeding tendency
4. All

Correct answer: 4. All

Explanation: All